Cremaster muscle is supplied by-
1. Iliohypogastric nerve
2. Genitofemoral nerve
3. Obdurator nerve
4. Femoral nerve

Correct answer: 2. Genitofemoral nerve

Explanation: Ans. is 'b' i.e., Genitofemoral nerve NerveDistributionIliohypogastric nerve(L1)External oblique, internal oblique, transversus abdominis muscles of anterior abdominal wall; skin over lower anterior abdominal wall and buttock.Ilioinguinal nerve(L1)External oblique, internal oblique, transversus abdominis muscles of anterior abdominal wall; skin of upper medial aspect of thigh; root of penis and scrotum in the male; mons pubis and labia majora in the female.Lateral cutaneous nerve of the thigh (L2, L3, L4)Skin of anterior and lateral surfaces of the thigh.Genitofemoral nerve (L1, 2)Cremaster muscle in scrotum in male; skin over anterior surface of thigh; nervous pathway for cremasteric reflex.Femoral nerve (L2, 3,4)Iliacus, pectineus, sartorius, quadriceps femoris muscles, and intermediate cutaneous branches to the skin of the anterior surface of the thigh and by saphenous branch to the skin of the medial side of the leg and foot; articular branches to hip and knee joints.Obturator nerve(L2, 3,4)Gracilis, adductor brevis, adductor longus, obturator externus, pectineus, adductor magnus (adductor portion), and skin on medial surface of thigh; articular branches to hip and knee joints.